Which one of the following is not performed in Lichtenstein tension free hernioplasty?
1. High ligation of indirect hernia sac
2. Mesh sutured to the conjoint tendon and inguinal ligament
3. Conjoint tendon sutured to inguinal ligament
4. Spermatic cord is placed in two tails of the internal ring

Correct answer: 3. Conjoint tendon sutured to inguinal ligament